Me type of conjoined twin is:
1. Throracopagus
2. Craniopagus
3. Pyopagus
4. Ischiopagus

Correct answer: 1. Throracopagus

Explanation: Ans. (a) Throracopagus